All are true about familial male limited precocious puberty, EXCEPT:
1. It is also called Testotoxicosis
2. Autosomal dominant condition
3. Testosterone and LH levels are elevated
4. Flutamide can be used for treatment

Correct answer: 3. Testosterone and LH levels are elevated

Explanation: Familial male limited precocious puberty is also called testotoxicosis. FACTS : It is an autosomal dominant disorder It presents as premature androgenization of boys Testosterone is elevated, LH is suppressed in the condition Treatment options : 1. Ketoconazole - Inhibits testosterone synthesis. 2. Flutamide - Used as an androgen receptor antagonist. 3. Anastrazole - Is a useful aromatase inhibitor. Ref: Harrison, Edition - 18, Page - 3015